In a test of significance, p value is 0.023 the observed difference in study can be considered as -
1. Null hypothesis accepted and the study is rejected
2. Null hypothesis rejected and the study accepted
3. Null hypothesis accepted and the study is accepted
4. Null hypothesis rejected and the sutdy is also rejected

Correct answer: 2. Null hypothesis rejected and the study accepted

Explanation: Ans is 'b' i.e. Null hypothesis rejected and the study accepted By convention, a Null hypothesis is rejected when P S 0.05, i.e. the difference between two samples is true (statistically significant) and not by chance p 50.05 is considered as statistically significant. In the question p = 0.023 (less than 0.05) ---> Null hypothesis is rejected and the difference seen in study is true (study is accepted). Also know P value 0.05 is considered as statistically significant P value 5 0.001 is considered as statistically highly significant.